In pseudocholinesterase deficiency, drug to be used cautiously is
1. Barbiturate
2. Succinylcholine
3. Halothane
4. Gallamine

Correct answer: 2. Succinylcholine

Explanation: Pseudocholinesterase deficiency is a rare condition that makes you sensitive to certain muscle relaxants -succinylcholine or mivacurium -- used during anesthesia. The drugs are designed to briefly relax your muscles during a medical procedure.